3 years old child can do -
1. Make bridge of 3 cubes
2. Copy square
3. Identfy left and right
4. All

Correct answer: 1. Make bridge of 3 cubes

Explanation: Ans is 'a' i.e., Make bridge of 3 cubes o A child can build tower of 3 cubes at 15 months. o A child can draw a square or rectangle at the age of 4-41/2 years. o A child can identify left and right by the age of 4 years. o By year 2, a child can unscrew lids and turn door knobs. o A child can uses pronouns (I, me & you) by 2 years.